Most common type of twin pregnancy is:
1. Vertex + transverse
2. Both vertex
3. Vertex + breech
4. Both breech

Correct answer: 2. Both vertex

Explanation: In twins most common lie of both the fetus at term is longitudinal.
Rarest lie is both the twins transverse.

Presentations

Both vertex (Most common) 60%
Vertex (Ist) – Breech (IInd) 20%
Breech (Ist) – Vertex (IInd) 10%
Both Breech 8-10%

Note: Interlocking of twins is a rare complication seen in twins with Ist Breech presentation and IInd vertex presentation.